Which is anti inflammatory?
1. Lipoxins
2. Thromboxane
3. Prostaglandins
4. Interleukins

Correct answer: 1. Lipoxins

Explanation: Lipoxins are endogenous anti-inflammatory, pro-resolving molecules that play a vital role in reducing excessive tissue injury and chronic inflammation. Lipoxins regulate components of both the innate and adaptive immune systems including neutrophils, macrophages, T and B-cells.